All of the following are the electrocardiographic features of severe hyperkalemia except-
1. Peaked T waves
2. Presenceof U waves
3. Sine waves pattern
4. Loss of P waves

Correct answer: 2. Presenceof U waves

Explanation: Effects of hyperkalaemia on the ECG Serum potassium > 5.5 mEq/L is associated with repolarization abnormalities: Peaked T waves (usually the earliest sign of hyperkalaemia) Ref Harrison 20th edition pg 1456 Serum potassium > 6.5 mEq/L is associated with progressive paralysis of the atria: P wave widens and flattens PR segment lengthens P waves eventually disappear Serum potassium > 7.0 mEq/L is associated with conduction abnormalities and bradycardia: Prolonged QRS interval with bizarre QRS morphology High-grade AV block with slow junctional and ventricular escape rhythms Any kind of conduction block (bundle branch blocks, fascicular blocks) Sinus bradycardia or slow AF Development of a sine wave appearance (a pre-terminal rhythm) Serum potassium level of > 9.0 mEq/L causes cardiac arrest due to: Asystole Ventricular fibrillation PEA with bizarre, wide complex rhythm (Warning! In individual patients, the serum potassium level may not correlate closely with the ECG changes. Patients with relatively normal ECGs may still experience sudden hyperkalaemic cardiac arrest.) Ref Davidson 23rd edition pg 463